Tuberculous pleural effusion is characterised by all of the following features except -
1. Haunorrhagic effusion
2. Pleural fluid LDH more than 60% that of serum LDH
3. Protein in apirated fluid is increased.
4. ↑ Mesothelial cells.

Correct answer: 4. ↑ Mesothelial cells.